False about Wolman disease is -
1. It is a lysosomal storage disorder
2. It is characterized by deficient acid lysosomal lipase
3. It shows autosomal AR inheritance pattern
4. It is characterized by adrenal calcification and corneal clouding

Correct answer: 4. It is characterized by adrenal calcification and corneal clouding

Explanation: Wolmans disease is due to deficiency of the enzyme lysozomal acid lipase . Major accumulating metabolites being cholestrol esters and triglycerides. It is a lysosomal storage disease, also shows autosomal ressesive inheritance. so answer is option 4. Robbins basic pathology. 7th edition . Chapter Genetic disorders. Pge no. 161. ref img